Increased Gamma efferent discharge is seen in all except :
1. Jendrassik's maneuver
2. Anxiety
3. Rapid shallow breathing
4. Stimulation of skin

Correct answer: 3. Rapid shallow breathing

Explanation: C i.e. Rapid & shallow breathing Gamma efferent discharge is influenced byAnxietyQ causes increased discharge so hyperactive tendon reflexes- Stimulation of skin especially by noxious agentsQ, increase y discharge to ipsilateral flexor muscle spindles while decrease to extensors. Opposite pattern (i.e., flexor, extensorT) is produced in opposite limb.- Jendrassik's maneuverQ (pulling hands apa when flexed fingers are hookded together) increases y efferent discharge